A 38-year-old man was brought by his wife as his snoring becomes louder soon after falling asleep, and is then interrupted by a long silent period during which no breathing (apnea) occurs. He was diagnosed as having Obstructive sleep apnea. Individuals with OSA awaken when the arterial hypoxemia and hypercapnia stimulate both peripheral and central chemoreceptors. The activity of the central chemoreceptors is stimulated by which of the following?
1. A decrease in the PO2 of blood flowing through the brain
2. An increase in the PCO2 of blood flowing through the brain
3. An increase in the pH of the CSF
4. Hypoxemia, Hypercapnia, and Metabolic acidosis

Correct answer: 2. An increase in the PCO2 of blood flowing through the brain

Explanation: The response to hypoxia is mediated entirely by peripheral chemoreceptors; the response to hypercapnia and acidemia is mediated mainly (75%) by central chemoreceptors and partly (25%) by peripheral chemoreceptors. Central chemoreceptors are stimulated by a fall in pH of the cerebrospinal fluid (CSF) and the brain interstitial fluid. The magnitude of the stimulation is proportionate to the rise in hydrogen (H+) concentration. A rise in arterial PCO2 stimulates the central chemoreceptors.